Sucralfate
1. Reduces gastric acid secretion
2. Neutralises gastric acid
3. Is ulcer protective
4. Isanti H. pylori drug

Correct answer: 3. Is ulcer protective

Explanation: Ans. is 'c' i.e., Is ulcer protective Sucralfateo Sucralfate is an ulcer protective agent. It preferentially and strongly adheres to the ulcer base, specially duodenal, and acts as a physical barrier preventing acid, pepsin and bile from coming in contact with the ulcer base. However, this protective action is attributed to sucralfate because of certain properties which are achieved only in acidic medium:Acidic medium gives it a viscous consistency, alsoIt polymerises at pH < 4 by cross linkages of molecule assuming sticky gel like consistency,o It is this viscous and gel like properties that are responsible for its action.o When antacids are given concurrently they raise the pH of gastric secretion and this interferes with the very basic mechanism of action of sucralfate (requires pH < 4) and thus makes them ineffective.